Mark the false statement about Tungiasis :
1. Endo parasite skin infection
2. Tunga penetrans is also known as chigoe flea
3. Tunga penetrans is the smallest known flea, measuring 1 mm
4. Desquamation of the skin is always seen

Correct answer: 1. Endo parasite skin infection

Explanation: Tungiasis Inflammatory skin disease caused by infection with the female ectoparasitic Tunga penetrans (also known as chigoe flea, jigger, nigua or sand flea), Found in the tropical parts of Africa, the Caribbean, Central and South America, and India. Tunga penetrans is the smallest known flea, measuring 1 mm across. Clinical Features Skin inflammation, severe pain, itching, and a lesion at the site of infection that is characterized by a black dot at the center of a swollen red lesion, surrounded by what looks like a white halo. Desquamation of the skin is always seen, especially after the flea expands during hypertrophy.